Most common cause of death due to burns in early period is ?
1. Sepsis
2. Hypovolemic shock
3. Both
4. None

Correct answer: 2. Hypovolemic shock

Explanation: Srb's manual of surgery,4th edition Pathophysiology of burns: 1.Burns, 2.Loss of fluid, 3.Severe hypovolemia, 4.Reduced cardiac output, a.Decreased myocardial function. b.altered pulmonary resistance causing pulmonary edema, 5.Infection, 6.Systemic inflammatory response syndrome-SIRS, 7.Multiorgan dysfunction syndrome-MODS 8.Ultimately leading to death.